Serum angiotensin converting enzyme may be raised in all of the following,except
1. Sarcoidosis
2. Silicosis
3. Berylliosis
4. Bronchogenic carcinoma

Correct answer: 4. Bronchogenic carcinoma

Explanation: Serum ACE was studied to determine the effect of chronic lung disease upon the blood level of an enzyme believed to originate from the lungs. The assay was performed in approximately 200 control subjects and 200 patients with chronic lung disease using hippuryl-L-histidyl-L-leucine as substrate. Enzyme activity greater in male control subjects than in female subjects of comparable age and greater in children than in adults. Serum ACE was significantly reduced in patients with chronic obstructive lung disease, lung cancer, tuberculosis and cystic fibrosis, as compared to control subjects, and was even lower in those receiving corticosteroids. Of greatest interest, however, was that levels in patients with active sarcoidosis not receiving steroids were greater than 2 standard deviations above the mean for the adult control subjects (greater than 11.6 units) whereas levels in patients with sarcoidosis receiving steroids and in those with resolved disease were normal. Ref - Conditions that may cause higher levels of ACE include: Sarcoidosis Primary biliary cirrhosis Alcoholic liver disease Hyperparathyroidism Hyperthyroidism Diabetes Multiple myeloma Lung disease Amyloidosis Gaucher disease Leprosy